Which enzyme deficiency leads to Pompe's disease?
1. Branching enzyme
2. Glucose-6-phosphatase
3. Acid Maltase
4. Liver Phosphorylase

Correct answer: 3. Acid Maltase

Explanation: Branching Enzyme
Glucose-6-phosphatase
Acid Maltase
Liver Phosphorylase
Andersen's disease
Von Gierke's disease
Pompe's disease
Her's disease